Most common cause of decrease in incidence of H.pylori in the western countries is due to
1. Change in life style
2. Increased use of PPI
3. Chemotherapy
4. Mutation in organism

Correct answer: 1. Change in life style